Simple mastoidectomy is done for -
1. Lateral sinus thrombophlebitis
2. Small localized cholesteatoma
3. ASOM
4. Acute mastoiditis

Correct answer: 4. Acute mastoiditis